According to the WHO criteria, anaemia in infants of 6 months age is defined as Hb less than –
1. 100 gm/litre
2. 105 gin/litre
3. 110 gm/litre
4. 115 gm/litre

Correct answer: 3. 110 gm/litre